All are the true regarding hypertrophic obstructive cardiomyopathy, except:
1. Digitalis is useful
2. Left ventricular outflow obstruction
3. Asymmetrical septal thickness
4. Double apical impulse

Correct answer: 1. Digitalis is useful

Explanation: Answer is A (Digitalis is useful) Repeat Digitalis is contraindicated in hypertrophic obstructive cardiomyopathy (HOCM). Digitalis causes an increase in myocardial contractility which increases the degree of obstruction in HOCM and worsens the condition. Drugs Contraindicated in HOCM are Drugs that increase myocardial Contractility DigitalisQ Sympathomimetic aminesQ b agonist Drugs which decrease ventricular volume (preload) NitratesQ DiureticsQ Any increase in myocardial contractility or decrease in ventricular volume (preload) increase the degree of obstruction in HOCMQ